All of the following diseases are caused by Epstein Barr virus except:
1. Measles
2. Hodgkins lymphoma
3. Infectious mononucleosis
4. Nasopharyngeal carcinoma

Correct answer: 1. Measles

Explanation: Epstein-Barr virus causes heterophile-positive infectious mononucleosis, nasopharyngeal carcinoma, Burkitt's lymphoma, Hodgkin's disease, and B cell lymphoma (in patients with immunodeficiencies). Ref: Harrison's Principles of Internal Medicine, 18th Edition, Chapter 181